Which of the following is a pseudo cyst?
1. Mucous retention cyst
2. Radicular cyst
3. Aneurysmal bone cyst
4. Dentigerous cyst

Correct answer: 3. Aneurysmal bone cyst